Fecal leukocytes are absent in all of the following infections, EXCEPT:
1. Giardiasis
2. Cryptosporidiosis
3. Campylobacter infection
4. Clostridium perfringens infection

Correct answer: 3. Campylobacter infection

Explanation: Campylobacter infection is associated with the presence of fecal leukocytes. Campylobacter infection predominantly involves the jejunum, ileum and colon. Biopsy of the affected sites shows acute non specific inflammatory reaction with neutrophils, monocytes, and eosinophils in the lamina propria, as well as damage to the epithelium, including loss of mucus, glandular degeneration, and crypt abscesses. Intestinal pathogens associated with fecal leukocytes are: Campylobacter Enteroinvasive E coli Shigella Intestinal pathogens with absent fecal leukocytes: Bacillus cereus Clostridium perfringens Entamoeba histolytica Enteropathogenic E coli Enterotoxigenic E coli Giardia intestinalis Vibrio cholerae Enteric viruses Ref: Blaser M.J. (2012). Chapter 155. Infections Due to Campylobacter and Related Organisms. In D.L. Longo, A.S. Fauci, D.L. Kasper, S.L. Hauser, J.L. Jameson, J. Loscalzo (Eds), Harrison's Principles of Internal Medicine, 18e. Principles and Practice of Pediatric Infectious Diseases: Basic edited by Sarah S. Long, M.D., pe 385.